Contraceptive which is not an interceptive is :
1. Cu - T
2. Norplant
3. RU - 486
4. OC pills

Correct answer: 2. Norplant

Explanation: Norplant